The following are the features of Marfan's syndrome except
1. Arachnodactyly
2. Reduced joint mobility
3. Dislocation of the lens
4. Aortic dissection

Correct answer: 2. Reduced joint mobility

Explanation: Clinical features Slender, elongated habitus Abnormally long legs, arms, and fingers (arachnodactyly); High-arched palate Hyperextensibility of joints. Severe kyphoscoliosis, Pectus excavatum (i.e., deeply depressed sternum) or a pigeon-breast deformity. Dislocation, or subluxation, of the lens (ectopia lentis). Aneurysmal dilation and aortic dissection (Robbins Basic Pathology, 9 th edition. page : 221)